True statements about congeniatal megacolon include all of the following except:
1. Dilatation & hyper trophy of pelvic colon
2. Loud borborygmi
3. Symptoms appear with in 3 days following birth
4. Large stool

Correct answer: 4. Large stool

Explanation: Ans is 'd' i.e. large stool S. Das writes - "The symptoms appear within 3 days of birth and the presenting features are as follows: i) Constipation ii) Abdominal distention" Nelson writes - "The clinical symptoms of Hirschprung disease usually begin at birth with the delayed passage of meconium." Loud borborygmi is heard due to intestinal obstruction. About stool Nelson writes ? "The stools when passed may consist of small pelletes, may be ribbon-likel or may have fluid consistency; the large stools and fecal soiling of patients with functional constipation are absent." Also know - a large fecal mass may be palpable in the left lower abdomen, but on rectal examination the rectum is usually empty of feces (feces in rectum are found in functional constipation).